LEIGH disease is due to the accumulation of-
1. Glycogen
2. Pyrodoxine
3. Sphingomyelin
4. None

Correct answer: 4. None

Explanation: Ans. is 'None'